Any loss or abnormality of psychological, or anatomical
structure or function is
1. Disease
2. Impairment
3. Disability
4. Handicap

Correct answer: 2. Impairment